All can be manifestation of polycystic kidney except
1. Urine retention
2. Renal hypertension
3. Renal failure
4. Haematuria

Correct answer: 1. Urine retention

Explanation: Answer- A. Urine retentionChronic flank painGross and microscopic hematuria is common.NephrolithiasisHypertensionProgressive decline in renal function.